In pregnancy peak level of HCG occurs at :
1. Early gestation
2. Mid gestation
3. Late gestation
4. Prelabour

Correct answer: 1. Early gestation

Explanation: Early gestation